Basic needs programme includes all except
1. Education of adult and child
2. Doctor and nurse ratio
3. Water supply
4. Sanitation

Correct answer: 2. Doctor and nurse ratio

Explanation: Basic needs programme includes Rural health Rural water supply Rural electrification Elementary education Adult education Nutrition Environmental improvement of urban slums Houses for landless labourers. Ref: PARK'S TEXTBOOK OF PREVENTIVE AND SOCIAL MEDICINE 23rd edition pg 477